Soft S1 is seen in all except:
1. First degree heart block
2. AR
3. Calcified valve
4. Mild MS

Correct answer: 4. Mild MS

Explanation: MS: | Trans-valvular gradient, faster opening and faster elastic recoil - l/t loud S1 Option A- Causes bradycardia l/t soft S1 Option B- Blood comes black in LV, so increased volume in L.V during diastole d/t defective aortic valve closure blood comes back into the ventricle.The gradient starts reducing so l/t soft S1 sound. Option C -S1 become Soft once valve get calcified.